Woodworkers are associated with ____ type of sinus carcinoma
1. Adenocarcinoma
2. Squamous cell carcinoma
3. Anaplastic carcinoma
4. Melanoma

Correct answer: 1. Adenocarcinoma

Explanation: Occupational etiology of paranasal sinus cancers:Wood industry workers- AdenocarcinomaNickel and chrome industry workersLeather industry workers, Coal workersOther etiologies- Chronic sinusitis, Protracted polyposis, Snuff use, Post irradiation, Inverted papilloma.Ref: Hazarika; 3rd ed; Pg 373